Acrodynia is a feature of:
1. Iron deficiency anemia
2. Mercury poisoning
3. Copper poisoning
4. Zinc poisoning

Correct answer: 2. Mercury poisoning

Explanation: Ans: B (Mercury poisoning) Ref: The Essentials of Forensic Medicine and Toxicology by KS Narayan Reddy. 29th edition. 2010.Explanation:Symptoms of Mercury Poisoning:Acid metallic taste, hoarse voice, greyish white coating of tongue, blood-stained stool, circulatory collapse, necrosis of jaw. membranous, colitis, proximal renal tubular necrosis.Acrodynia (Acro-Limbs Odynia-Pain) is seen in mercury poisoning (aka Pink's Disease).It is characterized by Pain, swelling and parasthesia of Limbs.Mimimatu disease--Contamination of fish with mercury, at a place called Mini male Bay in Japan.Chronic Poisoning (Hydrar gyrism)The symptoms are salivation, sore mouth and throat, tine tremors of the tongue, hands, arms, anemia.Shaking palsy is associated with Hg poisoning. Mercurial tremors are also called hatter's shakes or glass blower's shake or Danbury Tremors.Mercurial erethism is seen in persons working with mercury in mirror manufacturing firms. Erethism is characterized by shyness, timidity, irritability, loss of confidence, mental depression, loss of memory and insomnia (Psychological symptoms).Mercuria lentis is a peculiar eye change due to brownish deposit of mercury through the cornea on the anterior lens capsule (Brown-Malt Reflex). It is bilateral and has no effect on visual acuity.